Which one of the following hepatitis viruses have significant prenatal transmission?
1. Hepatitis E virus
2. Hepatitis C virus
3. Hepatitis B virus
4. Hepatitis A virus

Correct answer: 3. Hepatitis B virus

Explanation: Ans. is 'c' i.e., Hepatitis B virus